Lymph vessel which drain the posterior 1/3 rd of the tongue:
1. Basal vessel.
2. Marginal vessel.
3. Central vessel.
4. Lateral vessel.

Correct answer: 1. Basal vessel.